If the external causes are removed, the sleep-wake cycle in humans
1. Does not continue
2. Continue with cycle length of 24 hours
3. Continue with cycle length of less than 24 hours
4. Continue with cycle length of more than 24 hours

Correct answer: 4. Continue with cycle length of more than 24 hours

Explanation: Ans. d. Continue with cycle length of more than 24 hoursThe sleep-wakefulness cycle follows a 24-hour, or circadian rhythm, and is related to the light-dark cycle. If the external cues in the form of light and darkness are removed, the sleep-wakefulness cycle still remains circadian although it has a tendency to lengthen to 25-30 hour